False about cystic fibrosis
1. Associated with CFTR gene
2. Autosomal recessive inheritance
3. Associated with 7p chromosome
4. Recurrent respiratory tract infection

Correct answer: 3. Associated with 7p chromosome